What should be the length of post for posterior teeth:
1. Maximum 7mm below the canal orifice.
2. Maximum 5 mm below the canal orifice.
3. 2/3 to the root length.
4. All of the above.

Correct answer: 1. Maximum 7mm below the canal orifice.

Explanation: For anterior teeth post length should be 2/3-3/4of root length.